Type of collagen found in space of Disse in liver is -
1. Collagen I & II
2. Collagen III & IV
3. Collagen II &
4. Collagen II & V

Correct answer: 2. Collagen III & IV

Explanation: Ans. is 'b' i.e., Collagen III & IV